In fracture of upper 1/3 of forearm, it is immobilized in:
1. Pronation
2. Supination
3. Mid prone
4. Any position

Correct answer: 2. Supination

Explanation: Immobilization of forearm at various fracture sites: ''SMP'' Upper 1/3rd- Supination Middle 1/3rd- Midprone Lower 1/3rd- Pronation